Ivermectin act by ?
1. Inhibition of pyruvate ferridoxin oxidoreductase
2. Inhibition of Nicotinic Acetycholine receptor
3. Activation of Glutamate gated Chloride channels
4. Inhibition of heme polymerase

Correct answer: 3. Activation of Glutamate gated Chloride channels

Explanation: Ivermectin : MOA :induce paralysis by activating Glutamate-gated Cl- channels foundonly in Inveebrates(Nematode nerve or muscle cells) and causes hyperpolarizationby increasing intracellular Chloride concentration, resulting in paralysis.It also binds with high affinity to GABA-gated and other ligand-gated Cl- channels in nematodes such as Ascaris . USES: It is drug of choice for Strongyloidiasis and Onchocerciasis. It is also useful for Ascariasis, Enterobiasis, Cutaneous Larva Migrans and Uncomplicated Scabies.